Which of the following is the drug of choice in the treatment of erythrodermic psoriasis?
1. Psorialen
2. Systemic steroid
3. Methotrexate
4. Estrogen

Correct answer: 3. Methotrexate

Explanation: Methotrexate, acitretin or short course of cyclosporine are the drugs of choice in the treatment of erythrodermic psoriasis. Methotrexate is also the drug of choice in psoriatic arthopathy, chronic plaque psoriasis and pustular psoriasis.